Pilocarpine:
1. Lowers the intraocular pressure in glaucoma
2. Cleaved by acetylcholinesterase
3. Inhibits sweat and lacrimation
4. Causes tachycardia

Correct answer: 1. Lowers the intraocular pressure in glaucoma